Usual site of TB bursitis -
1. Prepatellar
2. Subacromial
3. Subdeltoid
4. Trochanteric

Correct answer: 4. Trochanteric

Explanation: TB is is still a common infection in developing countries. After lung and lymph nodes bone and joint is the next common site of TB in the body. The commonest bursa involved in TB is trochanteric bursa resulting in trochanteric bursitis. REF:Essential orthopaedics- Maheshwari- 5th edn - pg no 182.